True about fibroid is all except
1. Pseudo capsulated
2. Slow growing
3. Least vascular periphery
4. Calcifications begins from periphery

Correct answer: 3. Least vascular periphery

Explanation: As blood vessels lie in capsule, peripheral part of fibroid is most vascular